All are true regarding staphylococcal toxin, except:
1. Beta hemolysin shows hot cold phenomenon
2. Mainly endotoxin
3. Enterotoxin causes food poisoning
4. Exfoliative toxin causes Ritter’s syndrome

Correct answer: 2. Mainly endotoxin

Explanation: Gram positive bacteria will mainly act by producing exotoxins.